Paroxysmal nocturnal hemoglobinuria is associated with all of the following conditions, except:
1. Aplastic anemia
2. Increased LAP scores
3. Venous thrombosis
4. Iron deficiency anemia

Correct answer: 2. Increased LAP scores

Explanation: In paroxysmal nocturnal hemoglobinuria, neutrophils express reduced leukocyte alkaline phosphatase, which is a GPI linked protein. This is because in PNH there is mutation of phosphatidylinositol glycan class A(PIGA). Mutation in PIGA result in impaired linkage of proteins with glycosyl phosphatidylinositol, thereby reducing its expression. Ref: Harrison's Principle of Internal Medicine, 18th Edition, Pages 883-884, Chapter 106 ; Diagnostic Pediatric Hematopathology By Maria A. Proytcheva, Page 86